Enlargement of pituitary tumor after adrenalectomy is called as?
1. Nelson s syndrome
2. Steel Richardson syndrome
3. Hamman rich syndrome
4. Job s syndrome

Correct answer: 1. Nelson s syndrome

Explanation: ANSWER: (A) Nelson s syndromeREF: Schwartzs Principles of Surgery 9th edition chapter 38. Thyroid, Parathyroid, and Adrenal "Nelson's syndrome is the rapid enlargement of a pituitary adenoma that occurs after the removal of both adrenal glands"Approximately 30% of patients who undergo bilateral adrenalectomy for Cushings disease are at risk of developing Nelson s syndromefrom progressive growth of the pre-existing pituitary tumor. This leads to increased ACTH levels, hyperpigmentation, visual field defects, headaches, and extraocular muscle palsies.